The retainerless matrix system with four types of bands fitted around any teeth regardless of its circumference is called
1. Tofflemire matrix
2. Auto matrix
3. Ivory No. 1 matrix
4. Ivory No. 8 matrix

Correct answer: 2. Auto matrix